Thiazide diuretics act on:
1. PCT mainly
2. DCT mainly
3. Loop of henle
4. All part of tubule

Correct answer: 2. DCT mainly

Explanation: Ans. B DCT mainlyDiuretic classDrugsMOASite of actionOsmotic diureticMannitolInhibit water and solute reabsorptionAll part of tubule, but mainly proximal tubuleLoop diureticsFurosemide TorsemideInhibit Na+-K+-2Cl- transportThick ascending loop of henleThiazide diureticHydrochlorothi azide Benzthiazide Chlorthalidone IndapamideInhibit Na+-Cl- co-transportDistal tubuleK+ sparing diureticSpironolactoneTriamtereneAmilorideDecrease Na+ reabsorption Decrease K+ secretionCollecting tubuleCarbonic anhydrase inhibitorAcetazolamideInhibit H+ secretion and HCO3 reabsorption, whichreduces Na+ reabsorptionProximal tubule